All of the following statements about small cell carcinomas are true, ExceptJuice-
1. Commonest Malignancy of lung
2. Associated with parancoplastic syndrome
3. Cause SVC obstruction
4. Chemosensitive

Correct answer: 1. Commonest Malignancy of lung

Explanation: Answer is A (Commonest Malignancy of lung): The commonest malignancy opting is Adenocarcinoma and not small cell carcinoma The most common malignancy of lung is Adenocarcinoma (overall world wide) Most common lung cancer worldwide is Adenocarcinoma Most common lung cancer in India is squammous cell carcinoma Most common lung cancer in women is adenocarcinoma Most common lung cancer in smokers is squammous cell carcinoma Most common lung cancer in nonsmokers is adenocarcinoma Most common lung cancer in young patients is adenocarcinoma Most common lung cancer to metastasize is small cell carcinoma Small cell carcinomas are associated with paraneoplastic syndromes Small cell carcinomas are the most common type associated with ectopic hormone production Ectopic hormones produced by small cell carcinoms ACTH SIADH/ANP Calcitonin Gonadotropins Paraneoplastic syndrome Cushing's syndrome Hyponatremia Hypocalcemia Gynaecomastia Small cell carcinomas are an established cause for SVC obstruction The most common type of Lung cancer associated with SVC syndrome is small cell carcinoma. Small cell carcinomas are chemosensitive `Small cell carcinomas are particularly sensitive to radiation and chemotherapy' -Robbins 7th/763 Small cell carcinomas commonly present with metastasis to brain (Harrison 16th/508) Small cell carcinomas are aggressive tumors that metastisize widely (>95% patients). Common sites of metastasis include Brain, Bone Liver and Adrenals